Schwartz operation is done in:
1. CSOM
2. Serous otitis media
3. Otosclerosis
4. Acute mastoiditis

Correct answer: 4. Acute mastoiditis

Explanation: Ans. d (Acute mastoiditis). (Ref. Dingra-3rd ed- 459; Bailey and Love 25th/pg. 692)Suppurative otitis mediaSuppurative otitis media is extremely common in childhood and is characterised by purulent fluid in the middle ear.Mastoiditis may be associated with otitis media because the mastoid air cells connect freely with the middle ear space.The tympanic membrane bulges because of pressure from the pus in the middle ear. The child suffers extreme pain until the tympanic membrane bursts. The most common infecting organisms are Streptococcus pneumoniae and Haemophilus influenzae. Appropriate systemic antibiotics should be given for 10 days.Mastoiditis requires hospital admission and intravenous antibiotics. If the infection does not resolve quickly, a cortical mastoidectomy is required, together with a myringotomy.Cortical mastoidectomy (Schwartz operation)# It is complete exenteration of all accessible mastoid air cells and converting them into a single cavity.# Posterior meatal wall is left intact.# Middle ear structures are not disturbed.Also remember:Korner's Septum:# It is persistent petrosquamous suture below which mastoid antrum lies.# If it is present; access to mastoid antrum may be difficult.